First sign of male puberty is -
1. Enlargement of penis
2. Enlargement of testes
3. Appearanc e of pubic hair
4. Appearance of axillary hair

Correct answer: 2. Enlargement of testes

Explanation: Ans. is 'b' i.e., Enlargement of testes In male - Sequence of changeGrowth of testes (> 3 ml in volume or & thinning of scrotum 2 [?] 5 cm in longest diameter)Pigmentation of scrotum & growth of penisPubic hairAxillary hair In femaleBreast bud - First signPubic hairMenarche